Pheochromocytoma is usually associated with:
1. Pancreatic exocrine carcinoma
2. Astrocytoma
3. Neurofibromatosis
4. Neuroblastoma

Correct answer: 3. Neurofibromatosis

Explanation: Ans. C: Neurofibromatosis Pheochromocytoma linked to MEN II ca be caused by RET oncogene mutations. Both syndromes are characterized by pheochromocytoma as well as thyroid cancer (thyroid medullary carcinoma). MEN IIA also presents with hyperparathyroidism, while MEN IIB also presents with mucosal neuroma. Pheochromocytoma is also associated with neurofibromatosis